Under National Programme for Prevention of Nutritional Blindness, a child in the age group of 6-11 months is given a single dose of vitamin A is:
1. 50,000 IU
2. 1,00,000 IU
3. 1,50,000 IU
4. 2,00,000 IU

Correct answer: 2. 1,00,000 IU

Explanation: Ans. B: 1,00,000 IUNutritional blindness which affects over seven million children in India per year results mainly "from the deficiency of vitamin A coupled with protein-energy malnutrition.In its severest form, it often result in loss of vision.Vitamin A deficiency is assessed on the basis of conjuctival xerosis and Bitot's spot.